Induration of seminal vesicle is seen most oftenly in
1. Tuberculosis
2. Lymphogranuloma venereum
3. Gonorrhea
4. Syphilis

Correct answer: 1. Tuberculosis

Explanation: TUBERCULOSIS OF THE PROSTATE AND SEMINAL VESICLES Tuberculosis of the prostate and seminal vesicles is rare and associated with renal tuberculosis. In 30% of cases, there is a history of pulmonary tuberculosis within 5 years of the onset of genital tuberculosis. Tuberculosis of one or both seminal vesicles may be found when examining a patient with chronic tuberculous epididymitis, no symptoms being referable to the internal genitalia. On rectal examination, the affected vesicle is found to be nodular. When the prostate is involved, rectal examination reveals nodules in one or both lateral lobes. Patients with tuberculous prostatitis usually present with the following: * urethral discharge; * painful, sometimes blood-stained, ejaculation; * mild ache in the perineum; * infertility; * dysuria; * abscess formation. Special forms of investigation Radiography sometimes displays areas of calcification in the prostate and/or the seminal vesicles. Bacteriological examina tion of the seminal fluid yields positive cultures for tubercle bacilli. Treatment The general treatment is that for tuberculosis. If a prostatic abscess forms, it should be drained transurethrally. Ref: 1475